Cochlear involvement more than vestibular involvement drug ?
1. Sisomycin
2. Kanamycin
3. Gentamycin
4. Streptomycin

Correct answer: 2. Kanamycin

Explanation: Ans. is 'b' i.e., Kanamycin